Mac Ewan sign is seen in:
1. Hydrocephalus
2. Encephalitis
3. Meningitis
4. Microcephaly

Correct answer: 1. Hydrocephalus

Explanation: - In Hydrocephalus, percussion of the skull might produce a cracked pot sound or Mac Ewen sign, indicating separation of the sutures. - Large head with venous prominences & SETTING SUN SIGN are also seen